Most of the parotid tumor are managed by -
1. Total parotidectomy
2. Radical parotidectomy
3. Superficial parotidectomy
4. Radical parotidectomy & Neck dissection

Correct answer: 3. Superficial parotidectomy

Explanation: • In parotid gland: superficial parotidectomy
• In other salivary glands: excision of the affected gland
• Surgery
−− Principal treatment of cancer of salivary glands is surgical excision, used either as a single modality or in most cases, in conjunction with adjuvant radiation therapy.
Parotid malignancies      • Superficial parotidectomy with preservation of facial nerve
                                       • Total parotidectomy with nerve preservation if deep lobe is involved
Other salivary glands             • En-bloc excision of tumor (involved gland)
• Neck dissection for lymph nodes: In clinically palpable nodes and High grade malignancies
• Radiotherapy